Unit of enzyme activity -
1. Millimoles / lit
2. Milligm/lit
3. Mg/dl
4. Micromoles/min

Correct answer: 4. Micromoles/min

Explanation: Ans. is 'd' i.e., Micromole / minute o The activity of enzyme is measured in terms of the following :1) Unit of enzyme acdvity: -# By international agreement, one unit enzyme activity is defined as the amount causing transformation of 1.0 micro mole of substrate per minute at 25deg C. It is usually expressed as m mole of substrate disappeared or p mole of product formed per minute.2) Specific activity:-# It refers to the number of enzyme units per milligram of protein. It is a measure of enzyme purity; higher the enzyme purity, more is the specific activity.3) Ttirn over number# This refers to the number of substrate molecules transformed per unit time by a single enzyme molecule (or by a single catalytic site), when the enzyme concentration alone is rate-limiting factor.# Catalase has the highest turnover number and hence is the fastest active enzyme. Carbonic anydrase has the 2nd fastest turnover number; therefore, it is 2nd fastest active enzyme (after catalase). Lysozyme has the lowest turnover number and therefore is slowest acting.